Which of the following are unpaired vessel in CNS :
1. Anterior-cerebral artery
2. Basilar artery
3. Posterior-cerebellar artery
4. Posterior-communicating artery

Correct answer: 2. Basilar artery

Explanation: B i.e. Basilar artery